Adrenal hyperplasia due to 21 hydroxylase deficiency is treated with low dose -
1. Androgen
2. Estrogen
3. Cortisone
4. Anti-androgen

Correct answer: 3. Cortisone

Explanation: Ans. is 'c' i.e., Cortisone Cortisol deficiency is treated with glucocorticoids. o Hydrocortisone is given. Note - For prenatal treatment dexamethasone is given.